At the level of Arch of aorta, the relationship of left vagus nerve and left phrenic nerve?
1. Phrenic nerve anterior, vagus nerve posterior
2. Phrenic nerve posterior, vagus nerve anterior
3. Both in same plane anteroposteriorly
4. Variable in relationship

Correct answer: 1. Phrenic nerve anterior, vagus nerve posterior

Explanation: Phrenic nerve anterior, vagus nerve posterior